Infantile spasms are associated with?
1. A hypsarrhythmic pattern on EEG
2. A favorable outlook in regard to neurologic and intellectual development
3. A response to treatment with Phenobarbital
4. Hypocalcemia

Correct answer: 1. A hypsarrhythmic pattern on EEG

Explanation: Infantile spasms represent a type of seizure disorder that presents almost exclusively in the child less than two years of age. The prognosis regarding neurologic and intellectual outcome in general is poor. Seizures are resistant to the usual anticonvulsant agents but can be controlled by ACTH, although there are no convincing data that such treatment improves ultimate neurologic or intellectual outcome. The classical electroencephalographic finding in this disorder is rather gross abnormality that has been referred to as hypsarrhythmia. Infantile spasms are not related to hypocalcemia or any other electrolyte disturbance. Ref: Ropper A.H., Samuels M.A. (2009). Chapter 16. Epilepsy and Other Seizure Disorders. In A.H. Ropper, M.A. Samuels (Eds), Adams and Victor's Principles of Neurology, 9e.